Satellite lesion are seen in -
1. Tuberculoid leprosy
2. Lepromatous leprosy
3. Borderline tuberculoid leprosy
4. Histoid leprosy

Correct answer: 3. Borderline tuberculoid leprosy

Explanation: Satellite lesions are seen in borderline tuberculoid leprosy. in borderline tuberculoid leprosy the margins are raised in a part of lesion , flat or vague in another part. They have a tendency to break in the borders forming satellite lesions. iadvl textbook of dermatology, page 2036